Anti IgE monoclonal antibody used in bronchial asthma is:
1. Mepolizumab
2. Omalizumab
3. Keliximab
4. Altrakincept

Correct answer: 2. Omalizumab

Explanation: ANTI-IgE ANTIBODY Omalizumab: It is a humanized monoclonal antibody against IgE. Administered i.v. or s.c., it neutralizes free IgE in circulation without activating mast cells and other inflammatory cells. On antigen challenge, little IgE is available bound to the mast cell surface receptors to trigger mediator release and cause bronchoconstriction. It is very expensive; use is reserved for resistant asthma patients with positive skin tests or raised IgE levels who require frequent hospitalization. It is not itself immunogenic; only injection site local reactions have been noted so far. Reslizumab is also used for bronchial asthma ESSENTIALS of medical PHARMACOLOGY SIXTH EDITION -K D TRIPATHI Page:226